Gradual painful limitation of shoulder movements in an elderly suggest that the most probable diagnosis is:
1. Arthritis
2. Osteoarthritis
3. Periarthritis
4. Myositis ossificans

Correct answer: 3. Periarthritis

Explanation: FROZEN SHOULDER OR ADHESIVE CAPSULITIS OR PERIARTHRITIS SHOULDER It is characterized by progressive pain and stiffness of the shoulder, which usually resolve spontaneously.There is significant restriction in both active and passive range of motion. A. Painful Inflammatory Freezing Phase Lasts 2-9 months B. Phase of Progressive Stiffness Lasts 3-12 months Pain decreases and stiffness increases Attempt to exceed range of stiffness is accompanied by pain C. Resolution/Thawing Phase Lasts 1-3 years (can be as short as 1 month) Shoulder slowly and progressively becomes more supple.